Left sided superior vena cava drains into
1. Right atrium
2. Left atriurm
3. Coronary sinus
4. Pericardial space

Correct answer: 3. Coronary sinus

Explanation: Persistent left superior vena cava (PLSVC) is the most common variation of the thoracic venous system left sided svc drains into right atrium coronary sinus . Image ref - researchate.net